Patient presents with discharge per urethrum and microscopy shows presence of intracytoplasmic gram negative cocci; what is the most probable diagnosis ?
1. Gonorrhea
2. Donovanosis
3. Bacterial vaginosis
4. Syphilis

Correct answer: 1. Gonorrhea

Explanation: Ans. is 'a' i.e., Gonorrhea o Presence of pus discharge per urethrum in males with presence of intracytoplasmic gram negative cocci are pointers to the presence of N. gonorrhea infection.GONOCOCCAL INFECTIONo N.Gonorrhoeae is an intracytoplasmic gram negative coccus.o N. gonorrhoeae is exclusively a human pathogen although chimpanzees have been infected artificially,o It is never found as a normal commensal although a proportion of those infected, particularly women, may remain asymptomatic.Acute urethritis is most common manifestation. Purulent discharge per urethra is the most common manifestation.The process may extend, along the urethra, to prostate, seminal vesicle, epididymis.